About biotransformation untrue is -
1. Inactive metabolites are formed
2. Active metabolites are formed
3. More fat soluble metabolites are formed
4. More Hp soluble metabolites are formed

Correct answer: 3. More fat soluble metabolites are formed

Explanation: Ans. is 'c' i.e., More fat soluble metabolites are formed Biotransformation is needed to render nonpolar (lipid soluble) compounds polar (water soluble) so that they are not reabsorbed in the renal tubules and are excreted.